P wave is absent
1. Atrial fibrillation
2. CCF
3. Atrial flutter
4. PSVT

Correct answer: 1. Atrial fibrillation

Explanation: Ans. (a) Atrial fibrillationRef: Ganong, 25th ed/p.524P wave is absent in atrial fibrillationInstead of p waves, only fibrillatory f waves are seenP wave is absent also in hyperkalemia